Anisocoria is -
1. Unequal size of both pupils
2. Differential perception of object size by both eyes
3. Differential perception of object shape by both eyes
4. Variation in corneal thickness

Correct answer: 1. Unequal size of both pupils

Explanation: Ans. is 'a' i.e. Unequal size of both pupils o Anisocoria is a condition characterized by an unequal size of the eyes' pupils. Affecting 20% of the population, it can be an entirely harmless condition or a symptom of more serious medical problemso Anisocoria is a common condition, defined by a difference of 0.4 mm or more between the sizes of the pupils of the eyes.o Anisocoria has various causes :# Physiological anisocoria: About 20% of normal people have a slight difference in pupil size which is known as physiological anisocoria. In this condition, the difference between pupils is usually less than 1 mm.# Horner's syndrome.# Mechanical anisocoria: Occasionally previous trauma, eye surgery, or inflammation (uveitis, angle closure glaucoma) can lead to adhesions between the iris and the lens.# Adie tonic pupil: Tonic pupil is usually an isolated benign entity, presenting in young women. It may be associated with loss of deep tendon reflex (Adie's syndrome). Tonic pupil is characterized by delayed dilation of iris especially after near stimulus, segmental iris constriction, and sensitivity of pupil to a weak solution of pilocarpine.# Oculomotor nerve palsy: Ischemia, intracranial aneurysm, head trauma, and brain tumors are the most common causes of oculomotor nerve palsy in adults. In ischemic lesions of the oculomotor nerve, pupillary function is usually spared whereas in compressive lesions the pupil is involved.# Pharmacological agents will cause anisocoria, particularly if instilled in one eye. Some examples of pharmacological agents which may affect the pupils includepilocarpine, cocaine, tropicamide, MDMA, dextromethorphan, and ergolines. Alkaloids present in plants of the genera Brugmansia and Datura, such as scopolamine, may also induce anisocoria.